Which of the following protapers have almost similar size of the tip?
1. S1 & Sx
2. S1 & S2
3. S2 & F1
4. S2 & L1

Correct answer: 3. S2 & F1